In a study of lifestyle influences on health, investigators observe that sending children outside to play instead of letting them sit for hours in front of the television can have long-term health benefits. Which of the following tissues is most likely to be in better condition by middle age from this lifestyle change?
1. Bone fractures
2. Ocular cataracts
3. Urinary tract calculi
4. Pulmonary emphysema

Correct answer: 1. Bone fractures

Explanation: Vitamin D can be synthesized endogenously in the skin with exposure to ultraviolet (UV) light. Together, vitamin D and calcium help build and maintain growing bone. Exercise helps build bone mass, which protects against osteoporosis later in life, particularly in women. Renal function is not greatly affected by the environment. There are some deleterious effects on the eye (cataracts) and the skin (cancer, elastosis) from increased exposure to UV radiation in sunlight. Increased air pollution in many cities has led to an increased incidence of pulmonary diseases, and children are particularly at risk.